14 year old girl presented with vaginal bleeding with occasional amenorrhea, next step is :
1. BT, CT
2. Clinical history and examination
3. Ultrasound
4. TLC, DLC ESR

Correct answer: 2. Clinical history and examination

Explanation: Clinical history and examination